Indication for aortic stenting is:
1. Acute aortic occlusion
2. Aortic dissection
3. Rheumatic aortitis
4. Tetralogy of fallot

Correct answer: 2. Aortic dissection

Explanation: Ans. B: Aortic dissection Indications for Aortic stenting: Abdominal aortic aneurysm -Stent are available for patients with descending thoracic aortic aneurysms that are at least 2 Times greater than the adjacent aorta. Furthermore, sufficient aorta of normal dimensions must be present on either side of the aneurysm (so-called landing zones) for the stent graft to adhere to the aortic walls. Focal penetrating ulcer: Patients with focal penetrating ulcers in their thoracic aorta are another group in which stent may prove beneficial because these patients have defined, limited areas of their thoracic aorta where a loss in the integrity of the endothelium leads to potentially life-threatening rupture. Aortic dissection